Most accurate measurement of extracellular fluid volume (ECF) can be done by using:
1. Sucrose
2. Mannitol
3. Inulin
4. Aminopyrine

Correct answer: 3. Inulin

Explanation: -Antipyrine or Aminopyrine is used for TBW measurement. Hence, option D is ruled out. -No ideal marker for ECF measurement is available. -Among the given options, most accurate measurement of ECF volume is that obtained by using Inulin.